Which vertebra has the most prominent spine:
1. C2
2. C7
3. T10
4. L2

Correct answer: 2. C7

Explanation: B i.e. C7The most prominent spinous processQ that can be felt in neck is that of seventh cervical vertebrae. The C-7 is named vertebra prominens because it has the longest spinous processQ, and the process is not bifid.